Partogram is used to -
1. Assess the fetal well-being in labour
2. Assess the condition of the baby at birth
3. Record the events of pregnancy
4. Assess the progress of labour

Correct answer: 4. Assess the progress of labour